Digoxin is used in CHF associated with:
1. HOCM (Hypertrophic obstructive cardiomyopathy)
2. High output failure
3. Atrial fibrillation with high ventricular rate
4. All of the above

Correct answer: 3. Atrial fibrillation with high ventricular rate

Explanation: Digitalis should be used for patients

Who remain symptomatic even on diuretics and ACE inhibitors.
With heart failure who are in atrial fibrillation and require ventricular rate control.

Note: Digitalis is contraindicated in HOCM and high output cardiac failure.